Hot rim sign on hepatobiliary scintigraphy (Tc99m-HIDA ) is seen in ?
1. Chronic cholecystitis
2. Biliary Atresia
3. Gangrenous Cholecystitis
4. Porcelain GallBladder

Correct answer: 3. Gangrenous Cholecystitis

Explanation: * Increased Pericholecystic hepatic band of radio tracer activity called Rim sign. * A rim of increased hepatic activity directly adjacent to the gallbladder fossa in association with non visualization of the gall bladder is a specific sign of acute cholecystitis particularly associated with gangrene and perforation . Below CT Image Shows Emphysematous Cholecystitis with Necrosis and Air within the wal of GB.It is surgical Emergency with high risk of GB perforation and mortality.